Testicular artery is a branch of:
1. Common iliac artery
2. Abdominal aorta
3. Internal iliac artery
4. External iliac artery

Correct answer: 2. Abdominal aorta

Explanation: Ans. B Abdominal aorta* Testicular artery is a branch of abdominal aorta.* Please refer' the image given below: